What would be the Gross reproductive rate for a region with a total fertility rate of 6, with Male: Female ratio of 1?
1. 2
2. 3
3. 5
4. 6

Correct answer: 2. 3

Explanation: Gross reproduction rate is the average number of girls that would be born to a woman if she experiences the current fertility pattern throughout her reproductive spanIt will be half of the total fertility rate, so 3ie, in her lifetime she gives birth to 6 children of which 3 are girls (Ref:- Park. 23rd ed. Page no 489)